Half life of IgG:
1. 5 days
2. 6 days
3. 8 days
4. 23 days

Correct answer: 4. 23 days

Explanation: IgG is a 150 kD monomer with a half-life of 23 days.